60 yrs old man presents in OPD with history of opium addiction for the last 20 yrs. He has given up opium from 2 days. Withdrawal symptoms will include -
1. Drowsiness
2. Constricted pupil
3. Rhinorrhea
4. ↓ed Blood pressure

Correct answer: 3. Rhinorrhea

Explanation: Manifestations of morphine withdrawal

Lacrimation, Rhinorrhoea, sweating, anxiety & fear, yawning, restlessness, Goose flesh (piloerection), mydriasis, insomnia, abdominal colic, diarrhea, rise in BP, dehydration, palpitation, muscle cramp & body pain, rapid weight loss.